All of the following muscles constitutes the rotator cuff muscles, EXCEPT?
1. Supraspinatus
2. Infraspinatus
3. Teres major
4. Subscapularis

Correct answer: 3. Teres major

Explanation: The 4 muscles which constitute the rotator cuff are supraspinatus, infraspinatus, teres minor and subscapularis. They form a musculotendinous cuff around the glenohumeral joint. It provides muscular support primarily to the anterior, posterior, and superior aspects of the joint.Supraspinatus muscle: Its primary action is humeral abduction. The suprascapular nerve (C5-C6) and the suprascapular artery provide its innervation and blood supply.Infraspinatus muscle: Its primary action is lateral rotation of the humerus. The suprascapular nerve and the suprascapular artery provide its innervation and blood supply.Teres minor muscle: It causes lateral rotation of the humerus. The axillary nerve and circumflex scapular artery provide its innervation and blood supply.Subscapularis muscle: Causes medial rotation of the humerus with contraction. Upper and lower subscapular nerves and suprascapular, axillary, and subscapular arteries provide its innervation and blood supply.